Which of the following is cytophilic antibody -
1. IgM
2. IgA
3. IgE
4. IgG

Correct answer: 3. IgE

Explanation: IgE is an 8 S molecule. Resemble IgG structurally. Heat liable - affinity for the surface of tissue cells of the same species. ( homocytotropism) - normal serum contains only traces of IgE ( a few nanograms per ml ) - greatly elevated levels in atopic conditions like asthma, hay fever. Reference : Anathanarayan & paniker's 9th edition, pg no: 98,99